Gonadotropins are :
1. Proteins
2. Glycoproteins
3. Phospholipids
4. Polysaccharides

Correct answer: 2. Glycoproteins

Explanation: Glycoproteins